Which Vitamin is required for carboxylation of clotting factors?
1. Vitamin A
2. Vitamin D
3. Vitamin E
4. Vitamin K

Correct answer: 4. Vitamin K

Explanation: Ans. D. Vitamin K(Ref: Harper 31/e page 529-533)Vitamin K is required for the post-translational carboxylation of glutamic acid (Gamma Carboxylation), which is necessary for calcium binding to g carboxylated proteins.